The drug of choice for schistosomiasis is :
1. Albendazole
2. Metronidazole
3. Praziquantel
4. Triclabendazole

Correct answer: 3. Praziquantel